Best method to show trend of events with passage of time is?
1. Line diagram
2. Bar diagram
3. Histogram
4. Pie chart

Correct answer: 1. Line diagram

Explanation: ANSWER: (A) Line diagramREF: Park 20th edition page 747 &748, style="font-size: 1.04761904761905em; font-family: Times New Roman, Times, serif; margin: 0 0 0 8px; text-indent: 0; text-align: left">"Line diagrams are used to show the trend of events with passage of time"PictographA pictograph uses an icon to represent a quantity of data : values in order to decrease the size of the graph. A key must be used to explain the icon.Advantages* Easy to read* Visually appealing* Handles large data sets easily using keyed iconsDisadvantages* Hard to quantify partial icons* Icons must be of consistent size* Best for only 2-6 categories* Very simplisticPie chartA pie chart displays categorical data as a percentage of the whole by using a circle. Each pie section should have a label and percentage. A total data number should be included.Advantages* Visually appealing* Shows percent of total for each categoryDisadvantages* No exact numerical data* Hard to compare 2 data sets*"Other" category can be a problem* Total unknown unless specified* Best for 3 to 7 categories* Use only with discrete dataHistogramA histogram displays discrete or continuous data in ordered columns. Each column represents a group defined by a quantitative variable such as time, inches, temperature, etc.Advantages* Visually strong* Can compare to normal curve* Usually vertical axis is a frequency count of items falling into each categoryDisadvantages* Cannot read exact values because data is grouped into categories* More difficult to compare two data sets* Use only with continuous dataBar graphA bar graph displays discrete data in separate columns. A double bar graph can be used to compare two data sets. Each column represents a group defined by a categorical variableAdvantages* Visually strong* Can easily compare two or three data setsDisadvantages* Graph categories can be reordered to emphasize certain effects* Use only with discrete dataLine graphA line graph plots continuous data as points and then joins them with a line. To show the trend of event with passage of timeAdvantages* Can compare multiple continuous data sets easily* Interim data can be inferred from graph lineDisadvantages* Use only with continuous dataFrequency PolygonA frequency polygon can be made from a line graph by shading in the area beneath the graph. It can be made from a histogram by joining midpoints of each column.Advantages* Visually appealingDisadvantages* Anchors at both ends may imply zero as data points* Use only with continuous data